Arsenic inhibits all except :
1. PDH
2. Lipoic acid
3. a-KG dehydrogenase
4. Enolase

Correct answer: 4. Enolase

Explanation: D i.e. EnolaseArsenite (trivalent form of arsenic) forms a stable complex with thiol (-SH) group of lipoic acid, making it unavailable to serve as a coenzyme. So arsenic poisoning is primarily d/t inhibition of enzymes that require lipoic acid (lipoate) as a coenzyme including E2 of PDH complex, a-Ketoglutarate dehydrogenase and branched chain a-ketoacid dehydrogenaseQ.